Osteonecrosis of femoral head seen in -a) Sickle cell diseaseb) Gaucher's diseasec) Polycythemiad) Hyperparathyroidisme) Fracture
1. bcde
2. abcd
3. acde
4. abce

Correct answer: 4. abce

Explanation: Sickle cell anemia and polycythemia can cause AVN.